Which of the following is not used as treatment for lymphatic filariasis -
1. Ivermectin
2. DEC
3. Praziquantel
4. Albendazole

Correct answer: 3. Praziquantel

Explanation: Ans. is 'c' i.e., Praziquantel o Drugs used in lymphatic filiriasis are DEC, ivermectin, albendazale and doxycycline.